Beaded margin of eyelid is seen in
1. Erythema granuloma annulare
2. Leprosy
3. Granuloma annulare
4. Lipoid proteinosis

Correct answer: 4. Lipoid proteinosis

Explanation: Lipoid proteinosis is a rare, recessively inherited disorder, characterized by infiltration of the skin, oral cavity and larynx. Patients with this genodermatosis can usually be recognized instantly because of husky voice, inability to protrude tongue and thickened eyelids.